The active principles of Dhatura are all of the following except -
1. Pyricatechol
2. Hyoscyamine
3. Atropine
4. Hyoscine

Correct answer: 1. Pyricatechol

Explanation: Active principles of dhatura are levo-hyoscyamine, hyoscine (scopolamine) and atropine.